Curschmann's spirals in sputum are seen in:
1. Tuberculosis cavity
2. Asthma
3. Bronchitis
4. Bronchiectasis

Correct answer: 2. Asthma

Explanation: Curschmann's spirals refer to the spiral-shaped mucus plugs seen in the airways of asthmatics.